Malate shuttle is important in:
1. Liver and Heart
2. Brain and Heart
3. Brain and Skeletal muscle
4. Liver and Skeletal muscle

Correct answer: 1. Liver and Heart

Explanation: Malate shuttle is more important in the liver and cardiac muscles as these organs require a continuous supply of energy. Whereas Glycerol-P-shuttle is a shorter shuttle and provides a quick source of ATPs as compared to the Malate shuttle. So it is present in brain & skeletal muscles, where energy is needed quickly in case of an emergency.